What is the effect of progesterone on lipids normally?
1. Lowers LDL, increases HDL
2. Lowers HDL and LDL
3. Lowers HDL and increases LDL
4. Increases LDL and HDL

Correct answer: 3. Lowers HDL and increases LDL

Explanation: Progesterone stimulates lipoprotein lipase activity and seems to enhance fat deposition. Progesterone and analogs such as MPA have been reported to increase LDL and cause either no effects or modest reductions in serum HDL levels. Progesterone itself increases basal insulin levels and the rise in insulin after carbohydrate ingestion, but it does not normally alter glucose tolerance. Ref: Levin E.R., Hammes S.R. (2011). Chapter 40. Estrogens and Progestins. In L.L. Brunton, B.A. Chabner, B.C. Knollmann (Eds), Goodman & Gilman's The Pharmacological Basis of Therapeutics, 12e.